Which intraocular muscle inserts closest to limbus-
1. Lateral Rectus
2. Medial Rectus
3. Superior Rectus
4. Inferior Rectus

Correct answer: 2. Medial Rectus

Explanation: Ans. is 'b' i.e., Medial Rectus MuscleDistance of insertion from limbusMedial rectus (M)5.5 mmInferior rectus (I)6.5 mmLateral rectus (L)6.9 mmSuperior rectus (S)7.7 mm